Third window effect is seen in
1. Perforated tympanum
2. Dehiscent superior semicircular canal
3. Round window
4. Oval window

Correct answer: 2. Dehiscent superior semicircular canal

Explanation: Ans. b. Dehiscent superior semicircular canal Dehiscence of bone overlying the superior semicircular canal can cause a constellation of vestibular and auditory symptoms and signs. These abnormalities can be understood in terms of the effect of the dehiscence in creating a third mobile window into the inner ear.